All are examples of upper motor neuron lesion except:
1. Prion disease
2. Multiple sclerosis
3. Anterior horn cell disease
4. Tuberous sclerosis

Correct answer: 3. Anterior horn cell disease

Explanation: Anterior Horn cell disease =because in this lesion at spinal cord & it comes under lower motor neuron lesion Ant. Horn cell disease / motor neuro disease leads to flaccid paraplegia Prion disease= dementia + myoclonus Multiple sclerosis = optic neuritis Tuberous sclerosis =epilepsy